Pain and temperature sensation passes through which of the following tract?
1. Anterior spino thalamic tract
2. Lateral spino thalamic tract
3. Corticospinal tract
4. Dorsal column

Correct answer: 2. Lateral spino thalamic tract

Explanation: (B) Lateral spino thalamic tract # Dorsal column: Touch, pressure, vibration joint position# Lateral spinothalamic tract: Pain & Temperature# Ventral spinothalamic tract: Crude touch